In which stage of the syphilis, nose is involved commonly ?
1. Primary
2. Secondary
3. Tertiary
4. Equally involved in all stages

Correct answer: 3. Tertiary

Explanation: Ans. is 'c' i.e., Tertiary Nasal syphilis Nasal syphilis may be : i) Acquired or ii) Congenital. Tertiary stage in which nose is involved most commonly. There is formation of gumma followed by bony perforation of nasal septum. Bridge of the nose collapses causing a saddle deformity. Atrophic rhinitis may occur as a complication.